Savalon contains:
1. Cetrimide + chlorhexidine
2. Cetavlon + cetrimide
3. Cetrimide + chlorhexidine + Butyl alcohol
4. Chlorhexidine + Butyl alcohol

Correct answer: 1. Cetrimide + chlorhexidine

Explanation: Cetrimide + chlorhexidine